Round tapered blank of Stainless steel is used and multiaxis grinding process is done for following
1. K file
2. Reamer
3. Hedstroem File
4. All of the above

Correct answer: 3. Hedstroem File